Grave's ophthalmopathy mostly presents as
1. Proptosis
2. Ptosis
3. Reduced intraocular tension
4. Increased power of convergence

Correct answer: 1. Proptosis

Explanation: Ans. A: Proptosis Graves' ophthalmopathy (also known as thyroid eye disease (TED), dysthyroid/thyroid-associated orbitopathy (TAO), Graves' orbitopathy) is an autoimmune inflammatory disorder affecting the orbit around the eye, characterized by upper eyelid retraction, swelling (edema), redness (erythema), conjunctivitis, reduce dpower convergence and bulging eyes (proptosis).